Bamboo spine is seen in -
1. Ankylosing spondylitis
2. RA
3. Paget's disease
4. Fibrous dysplasia

Correct answer: 1. Ankylosing spondylitis

Explanation: Radiological features of Ankylosis spondylitis are : Sacroiliitis Enthesopathy Romanus lesions Bamboo spine Rugger Jersy spine Intervertebral disc calcification Dagger sign Trolley track sign Squarring of vertebrae.